The premalignant skin lesions are all except -
1. Bowen's disease
2. Actinic keratosis
3. DLE
4. Miliaria

Correct answer: 4. Miliaria

Explanation: Ans. is 'd' i.e., Miliaria o Premalienant lesions of squamous cell carcinoma of skiny Actininc (Solar keratosis)y Arsenic Keratosisy Bowen's diseasey Erythroplasia of queyart (Bowen's disease of glans penis)y Hypertrophic Lichen planusy Dystrophic epidermolysis bullosay DLEy Xeroderma pigmentosa